Cause of acute loss of vision in a patient of alcoholic pancreatitis is:
1. Purtscher's retinopathy
2. Sudden alcohol withdrawal
3. Acute congestive glaucoma
4. CRAO

Correct answer: 1. Purtscher's retinopathy

Explanation: Answer is A (Purtscher's retinopathy) Purtscher's retinopathy is a relatively unusual complication of acute pancreatitis. It is manifested by sudden and severe loss of vision. It is believed to be due to occlusion of the posterior retinal artery with aggregated granulocytes. Peculiar Fundoscopic appearance : Cotton wool spots and hemorrhages confined to an area limited by the optic disk and macula.deg